All are monitoring indices of leprosy control project except -
1. New case detected per year
2. Rate of new cases with disability
3. Lepromin test positivee population
4. Treatment completion rate

Correct answer: 3. Lepromin test positivee population

Explanation: Ans. is 'c' i.e., Lepromin test positivee population Core indicators for monitoring the progress of leprosy eradication programme are :Number and rate of new cases detected per 100000 population per year.Rate of new cases with grade-2 disabilities per 100000 population.Treatment completion/cure rate.